Osteogenesis imperfect is due to a defect in:
1. Collagen 1
2. Collagen 2
3. Collagen 3
4. Collagen 4

Correct answer: 1. Collagen 1

Explanation: (Refer: Robbins Pathologic Basis of Disease, 8thedition, pg no: 1211-1213)
Major Types of Collagen in Body